Chancroid is caused by -
1. H. ducreyi
2. T. pallidum
3. Gonococcus
4. HSV

Correct answer: 1. H. ducreyi